A Neonate requires how much pressure for first inflation ?
1. 25 mm of Hg
2. 25 cm of H2O
3. 25 cm of Hg
4. 25 mm of H2O

Correct answer: 2. 25 cm of H2O

Explanation: Nearly 20 - 30 cm of H2O is necessary for inflation in newborn Reference: GHAI Essential pediatrics, 8th edition